Laurence moon biedl syndrome is associated with
1. Polydactyly
2. Intellectual disability
3. Retinitis pigmentosa
4. All of the above

Correct answer: 4. All of the above

Explanation: Laurence-Moon-Biedl syndrome is characterized by:Obesity PolydactylyIntellectual disabilityHypogonadotropic hypogonadismRetinitis pigmentosa(Refer: OP Ghai's Textbook of Pediatrics, 8th edition, pg no. 496)